This 6-day-old infant's mother had developed intensely pruritic lesions at 33 weeks of gestation. What is the diagnosis?
1. Congenital syphilis
2. Epidermolysis bullosa acquisita
3. Neonatal gonorrhea
4. Herpes gestationis

Correct answer: 4. Herpes gestationis

Explanation: Answer D. Herpes gestationisThe presence of multiple yellow plaques on erythematous bases sparing the orbital regions is consistent with a diagnosis of herpes gestationis, a rare autoimmune disorder of pregnancy that affects newborns in only 5 to 10 percent of cases. The more common dermatitis of pregnancy -- pruritic urticarial papules and plaques of pregnancy -- does not involve the face. This presentation would not be consistent with the other listed choices.